A 5-year-old girl is brought to the clinic with a 3-month history of worsening vision and behavioral problems in school. Her mother received no prenatal care and,reports that the girl was delivered without complications at home. As an infant, she had a "wartlike" perioral maculopapular rash and three or four recurrent right-sided ear infections. Physical examination reveals that the girl is in the 30th percentile for weight and the 35th percentile for height. Additional observations include findings that are notable for nummular keratitis, prominent notching of her upper two incisors and molars, and outward bowing of the tibia bilaterally. What is the most likely diagnosis?
1. Congenital Syphilis
2. Congenital Toxoplasmosis
3. Congenital Rubella
4. Congenital Cytomegalovirus

Correct answer: 1. Congenital Syphilis

Explanation: Congenital Syphilis - Caused by Treponema pallidum. Congenital syphilis is a cause of hydrops fetalis, or stillbirth due to fluid accumulation in the fetus. If the newborn survives, it can develop various abnormalities. Classic facial anomalies - Hutchinson's incisors Mulberry molars, Saddle nose Frontal bossing Short maxilla Hutchinson's triad : Deafness(VIII nerve damage) Interstitial keratitis Hutchinson's teeth